Mechanism of action of zileuton is :
1. Inhibits production of IgE
2. Inhibits Lipoxygenase
3. Inhibits Cyclooxygenase
4. Inhibits activity of mast cells

Correct answer: 2. Inhibits Lipoxygenase